Which of the following intermediates of TCA cycle is depleted in Type-I Diabetes mellitus to suppress TCA cycle?
1. Succinate
2. Malate
3. a-Ketoglutarate
4. Oxaloacetate

Correct answer: 4. Oxaloacetate

Explanation: Remember diabetic condition is similar to fasting/starvation (catabolic state) as body tissues does not get enough glucose. Hence gluconeogenesis and lipolysis is upregulated. TCA suppression in diabetes occurs due to following reasons: Oxaloacetate is used up for gluconeogenesis, which is not available for TCA. Excess lipolysis leads to increased beta oxidation of fatty acids which lead to the formation of excess NADH , which further depletes NAD. This suppresses TCA. Acetyl CoA is diverted to ketone body synthesis.